Most common tumor of appendix is
1. Carcinoid tumor
2. Pseudomyxoma peritonitis
3. Adenocarcinoma
4. Mucocele

Correct answer: 1. Carcinoid tumor

Explanation: Refer Robbins page no 9/e 816 Cancer of the appendix may causeappendicitis or rupture of appendicitis. Mostly this is the first symptom of appendix cancer. The majority of appendiceal tumors arecarcinoids, while the remaining 10% to 20% are mucinous cyst-adenocarcinoma,adenocarcinoma, lymphosarcoma,paraganglioma, and granular-cell tumors.